Corticosteroid with maximum sodium retaining potential?
1. Dexamethasone
2. Prednisolone
3. Aldosterone
4. Betamethasone

Correct answer: 3. Aldosterone

Explanation: ANSWER: (C) AldosteroneREF: KDT 6th edition, page 282"Aldosterone is most potent mineralocorticoid and betamethasone is most potent glucocorticoid"